Features of bronchiolitis are  a) Caused by R.S.V.  b) Wheeze present  c) Pulmonary edema common  d) Seen in immunocompromised hosts  e) Common age groups is from 5 to 15 years age
1. ab
2. ac
3. bd
4. de

Correct answer: 1. ab